The first sign of intrathecal injection following placement of caudal epidural with 0.25% bupivacaine in a 1 year old child would be
1. Hypotension
2. Bradycardia
3. Falling oxygen saturation
4. Tachycardia

Correct answer: 3. Falling oxygen saturation

Explanation: Hemodynamic instability is seen with intrathecal injecction in Younger children and infants. Apnea is first sign of total spinal in infants and younger children.